Prolonged treatment with Isoniazid leads to deficiency of-
1. Pyridoxine
2. Thiamine
3. Pantothenic acid
4. Niacin

Correct answer: 1. Pyridoxine

Explanation: Treatment with INH can lead to Pyridoxine deficiency, hence it is given as nutritional prophylaxis alongwith TB treatment.